A patient consumes strict vegetarian diet and does NOT take any animal product. He is going to suffer from deficiency of which vitamin:
1. B1
2. B3
3. B4
4. B12

Correct answer: 4. B12

Explanation: Ans. D i.e. Vitamin B12 Vitamin B12 can be found in large quantities in animal products, including meat, poultry, fish, seafood, eggs, and dairy products; and the consumption of these products is the most longstanding method by which human beings have taken vitamin Buinto their systems.